Maryland bridge is
1. Cast perforated resin retained FPD
2. Etched cast resin retained FPD
3. Macroscopic mechanical retention resin retained FPD
4. Chemical bonding resin retained FPD

Correct answer: 2. Etched cast resin retained FPD

Explanation: Etched cast resin-retained FPDs (micromechanical retention-"maryland bridge")